Drug of choice for Strongyloidosis is:
1. Albendazole
2. Ivermectin
3. DEC
4. Metronidazole

Correct answer: 2. Ivermectin

Explanation: Ivermectin is the drug of choice for Strongyloidosis and onchocercariasis.